S/E of diethyl stilbesterol when used in pregnant woman-
1. Deep vein thrombosis in pregnant woman
2. Feminization of external genitalia of male offspring
3. Infertility and development of vaginal carcinoma in female offspring
4. Virilization of the external genitalia of female offspring

Correct answer: 3. Infertility and development of vaginal carcinoma in female offspring

Explanation: Ans. is 'c' i.e., Infertility and development vaginal carcinoma in female offspring Stilbestrol given to pregnant women Increased risk of vaginal and cervical carcinoma in the female offspring in childhood or early adulthood.